Under EMCP launched in 1997, the criteria for selection of PHCs included the following Except
1. API more than 2 for the last 3 years
2. Plasmodium falciparum more than 30% of total malaria cases
3. The area has been reporting deaths
4. The area has been reporting epidemics

Correct answer: 4. The area has been reporting epidemics

Explanation: Under EMCP (Enhanced Malaria Control Project) launched in 1997, the criteria for selection of PHCs (Primary Health Center) include API more than 2 for the last 3 years, Plasmodium falciparum more than 30% of total malaria cases and the area has been reporting deaths.